All are true about spontaneous bacterial peritonitis except
1. High ascitic fluid protein increases the risk
2. E coli is the commonest organism
3. Due to bacterial translocation from normal gut flora
4. Neutrophil count >250/mL in ascitic sample is diagnostic

Correct answer: 1. High ascitic fluid protein increases the risk

Explanation: SBP is a common and severe complication of ascites characterized by spontaneous infection of the ascitic fluid without an intraabdominal source. When levels of ascitic fluid proteins are very low, patients are at increased risk for developing SBP.Bacterial translocation is the presumed mechanism for development of SBPThe most common organisms are Escherichia coli and other gut bacteria; however, gram-positive bacteria, including Streptococcus viridans, Staphylococcus aureus, and Enterococcus sp., can also be foundThe diagnosis of SBP is made when the fluid sample has an absolute neutrophil count >250/mL.Ref: Harrison 19e pg: 2066